Urticarial lesions are best described as –
1. Nonpruritic
2. Bullous
3. Evanescent
4. Macular

Correct answer: 3. Evanescent